Brush fire appearance of fundus is seen in
1. Toxoplasmosis
2. CMV retinitis
3. Chloroquine toxicity
4. Bacterial endocarditis

Correct answer: 2. CMV retinitis

Explanation: Ans. is 'b' i.e., CMV retinitis